Pheochromocytoma is associated with -
1. Vitiligo
2. Cafe-au-lait spots
3. Ash leaf amelanotic macusles
4. Acanthosis Nigricans

Correct answer: 2. Cafe-au-lait spots

Explanation: Ans. is 'b' i.e., Cafe-au-lait spots o About 25-33% of patients with a pheochromocytoma or paraganglioma have an inherited syndrome.# Neurofibromatosis type 1 (NF1) was the first described pheochromocytoma-associated syndrome.o The NF1 gene functions as a tumor suppressor by regulating the Ras signaling cascade. Classic features of neurofibromatosis include:# Multiple neurofibromas# Cafe au lait spots# Axillary freckling of the skin# Lisch nodules of the iris.o Pheochromocytomas occur in only about 1% of these patients and are located predominantly in the adrenals.